Potential Support Ratio (PSR) is defined as
1. Number of persons aged 15 to 65 per children below 15 years
2. Number of person aged 15 to 65 per one older person aged > 65 and younger person < 15 years
3. Number of persons aged 15 to 65 per one older person aged >/= 65 years
4. Number of persons aged 15 to 65 persons older person aged > 60 and younger person < 15 years

Correct answer: 3. Number of persons aged 15 to 65 per one older person aged >/= 65 years

Explanation: Number of persons aged 15 to 65 per one older person aged more than or equal to 65 years